Zinc finger is
1. Nuclear receptor
2. Membrane receptor
3. Receptor associated kinase
4. All of the above

Correct answer: 1. Nuclear receptor